In 65 year old male with history of fracture neck of femur 6 weeks old,treatment of choice -
1. SP nailing
2. Mc Murray's osteotomy
3. Hemiarthroplasty
4. None

Correct answer: 3. Hemiarthroplasty

Explanation: Treatment of choice for 6 weeks old fracture in a 65-year-old patient is hemiarthroplasty either bipolar (preferred) or monopolar AMR.